Unipolar flagellate organism that causes pneumonia -
1. Pseudomonas
2. Mycoplasma
3. Aeromonas
4. Klebsiella pneumonia

Correct answer: 1. Pseudomonas

Explanation: Answer- A. PseudomonasPseudomonas aeruginosa is a Gram-negative, aerobic rod shaped and polar-flagella bacterium with unipolar motility.